All are third generation Cephalosporin EXCEPT:
1. Cefuroxime axetil
2. Ceftazidime
3. Cefpodoxime proxetil
4. Cefoperazone

Correct answer: 1. Cefuroxime axetil

Explanation: ANSWER: (A) Cefuroxime REF: Goodman and Gillman 11th edition page 746-747, KDT 5TH edition page 663 See APPENDIX-36 for classification of "Cephalosporins" APPENDIX - 36 Cephalosporins: Parenteral Oral Mnemonic Exception to mnemonic First generation Cephalothin Cefazolin Cephalexin Cephradine Cefadroxil Fa, pha, phra in the name Cefaclor is 2ad gen Second generation Cefuroxime Cefoxitin Cefotetan Cefaclor Cefuroxime axetil Third generation Cefotaxime Ceftizoxime Ceftriaxone Ceftazidime Cefoperazone Cefixime Cefpodoxime proxetil Cefdinir Ceftibuten 'cef' followed by (a,e,i,o,u) - optional and then either D, P,T Cefixime Fourth generation Cefepime Cefpirome have pi in the name Oral or Parenteral Cefotaxime, ceftriaxone, cefuroxime and anything that start with "cef" or "ceph" and have a "tin", "thin", "z", or "pi" in the name is parenteral and others are oral